The immediate treatment of 10 kg weight infants presented with tetany -
1. IV Diazepam
2. IV calcium gluconate with cardiac monitoring
3. IV slow phenobarbitone
4. Wait and watch

Correct answer: 2. IV calcium gluconate with cardiac monitoring

Explanation: Ans. is 'b' i.e., IV calcium gluconate with cardiac monitory